Mechanism of action of dantroline is ?
1. Inhibits Ca++ secretion from sarcoplasm
2. Binds to ryanodine receptors to block release of Ca++
3. Inhibits GABA
4. Inhibits Gamma motor neuron

Correct answer: 2. Binds to ryanodine receptors to block release of Ca++

Explanation: Ans. is 'b' i.e., Binds to ryanodine receptors to block release of Ca++ o Dantrolone acts on Ryanodine receptors (RyR) Calcium channels in sarcoplasmic reticulum of skeletal muscles and prevents their depolarization triggered opening --> no release of intracellular Ca-+2 --> No excitation contraction coupling --> No contraction.